All are true about listeria except
1. Gram positive
2. PALCAM agar is used for isolation
3. Characteristic tumbling motility at 37degC
4. Umbrella shaped growth

Correct answer: 3. Characteristic tumbling motility at 37degC

Explanation: L. monocytogenes is a gram-positive' coccobacillus&;(coccoid rod) with a tendency to occur in chains. Peritrichous flagella are produced by the bacillus optimally at 20-30degC but only scantily or not at all at 37degC Culture media used for isolation are blood agar, chocolate agar, and PALCAM agar. It grows on ordinary media within a temperature range of 1deg to 45degC. Most cases of human disease are caused by serotypes 1/2a, 1/2b and 4b. The organism can be found as a part of the gastrointestinal flora in healthy individuals. Human disease due to L. monocytogenes generally occurs in the setting of pregnancy or immunosuppression REF : ananthanarayana 10th ed